Sabre Tibia
1. Scury
2. Rickets
3. Leprosy
4. Syphilis

Correct answer: 4. Syphilis

Explanation: D i.e. Syphilis Recurrence of the chancre in its original place due to relapse (not re-infection) in early syphilisQ is called chancre redux. - Vesico - Bullous lesion are charcterstically seen in early congenital syphilisQ & not found in other stages of syphilis. Interstitial keratitis, along with 8th nerve deafness & hutchinson's teeth (pegged central upper incisors)Q -form Hutchinson's triad; which is seen in late congential syphilis. Sabre tibiaQ, saddle nose, mulberry molars, bull dog jaws, frontal bossing of parrot and rhagades are other features of late congenital syphilis.